All are side effects of salbutamol EXCEPT:
1. Palpitation
2. Muscle tremors
3. Sedation
4. Throat irritation

Correct answer: 3. Sedation

Explanation: Side effects of salbutamol:

Palpitation
Muscle tremors
Throat irritation
Nervousness
Ankle edema